True regarding autonomic system is:
1. High centre of integration is medulla oblongata
2. Conduction autonomic fibres is same as in somatic motor fibres.
3. Preganglionic parasympathetic fibres are more lengthy
4. Ratio of preganglionic and post ganglionic fibres is 20:1

Correct answer: 3. Preganglionic parasympathetic fibres are more lengthy

Explanation: C i.e. Preganglionic parasympathic fibres are more lengthyThe cell bodies of the post ganglionic parasympathetic neurons are located on or near the body of viscera therefore postganglionic neurons are very short.QThe cell bodies of preganglionic parasympathetic neurons are located in the intermediolateral (IML) gray column of spinal cord or the homologus motor nuclei of the cranial nerves therefore they have a long course.QEach preganglionic axon diverges to an average of 8 or 9 post ganglionic neurons. Preganglionic: Postganglionic --> 1: 8 or 9.QConduction speed in different fibres:- Somatic motor fibres are of A type (Aa)- Autonomic preganglionic axon are B typeQ- Autonomic postganglionic axon are C typeQ- Conduction speed A> B>CQPreganglionic fibres are myelinatedQ, whereas postganglionic fibres are unmyelinated.QHighest centre of integration is hypothalamus.